Which of the following is not a feature of cystic fibrosis
1. A. Autosomal recessive disease
2. B. Abnormal chloride transport
3. C. Affects intestine only
4. D. Increased risk of of pulmonary infection

Correct answer: 3. C. Affects intestine only

Explanation: Cystic fibrosis is also known as salty baby syndrome or mucoviscidious Autosomal recessive condition predominantly affecting lungs Characterized by abnormal transport of chloride and sodium across epithelium, leading to thick vicious secretions Refer robbins 9/e 466